Muscle relaxant of choice in hepatic and renal failure –
1. Cisatracurium
2. Rocuronium
3. Vecuronium
4. Rapacuronium

Correct answer: 1. Cisatracurium